Farmer's lung is caused by exposure to -
1. Cryptostroma corticale
2. Asperigullus
3. Thermophilic actinomycetes
4. Grain dust

Correct answer: 3. Thermophilic actinomycetes